Which of the following dietarily non-essential amino acid becomes dietarily essential in patients of homocystinuria?
1. Cysteine
2. Methionine
3. Homocysteine
4. Phenylalanine

Correct answer: 1. Cysteine

Explanation: Cysteine is dietarily not essential since it can be synthesised from the essential amino acid methionine In homocystinuria, methionine to cysteine conversion is affected So,Cysteine becomes essential in diet. Extra edge:- Tyrosine becomes dietarily essential in patients of phenylketonuria.